Embolectomy should be done within
1. 4 hours
2. 6 hours
3. 8 hours
4. 10 hours

Correct answer: 2. 6 hours

Explanation: Embolectomy should be done within 6 hours as after 6 hours, irreverside changes occur.